Colour of teeth stained by tetracycline appear _______  under UV light
1. Red
2. Green
3. Yellow
4. Brown

Correct answer: 3. Yellow